Casting shrinkage is compensated by:
1. Thermal expansion
2. Hygroscopic expansion
3. Wax expansion
4. All of the above

Correct answer: 4. All of the above